Which teeth the proximal aspect shows rhomboidal appearance:
1. Maxillary posteriors
2. Mandibular posteriors
3. Maxillary anteriors
4. Mandibular anteriors

Correct answer: 2. Mandibular posteriors